(Weight = Height - 100) denotes which formula/ index-
1. Corpulence index
2. Broca index
3. Lorentz's formula
4. Ouetlef s index

Correct answer: 2. Broca index

Explanation: Ans. is 'b' i.e., Broca index o Has been explained in All India Dec-15